Which of the following hormone is not a protein derivative?
1. Growth hormone
2. Insulin
3. Glucagon
4. Thyroxine

Correct answer: 4. Thyroxine

Explanation: PROTEIN DERIVATIVES STEROID DERIVATIVES TYROSINE DERIVATIVES GROWTH HORMONE COISOL THYROID HORMONES INSULIN ALDOSTERONE CATECHOLAMINES GLUCAGON SEX STEROIDS